Gram negative cocci is/are -
1. Neisseria gonoorrhoeae
2. Bacillus
3. Staphylococci
4. Streptococci

Correct answer: 1. Neisseria gonoorrhoeae

Explanation: Neisseria gonoorrhoeae- Gram negative cocci Streptococci - Gram Positive cocci Staphylococci- Gram Positive cocci Bacillus - Gram Positive Bacilli